. Guillain-Barre syndrome IS characterized by the presence of the following except
1. Quadriparesis
2. Depressed/absent deep tendon jerks
3. Objective evidence of Sensory loss
4. Albumino-Cytological dissociation in CSF

Correct answer: 3. Objective evidence of Sensory loss

Explanation: . *It is characterised clinically by ascending paralysis. *Deep tendon reflex disappear early in the process *Sensory involvement , including loss of pain sensation ,is often present but is usually not a prominent feature . *CSF protein levels are elevated The most common initial symptom of GBS is acroparesthesia with little objective sensory loss . Severe radicular back pain or neuropathic pain affects most cases. Within a few days, weakness ensues commonly in a symmetric "ascending pattern Ref Harrison20th edition pg 2467